A 21-year-old woman with moderately severe asthma on three-drug treatment has elevated liver function tests thought to be caused by one of her medications. Which drug is causing this adverse effect?
1. Chromone agent
2. Lipoxygenase inhibitor
3. Leukotriene receptor antagonist
4. Methylxanthines

Correct answer: 2. Lipoxygenase inhibitor

Explanation: Zileuton It is a 5-LOX inhibitor, blocks LTC4/D4 as well as LTB4 synthesis. It therefore has the potential to prevent all LT induced responses including those exerted by activation of cysLT1 receptor. Durationof action of zileuton is short side effects:. HEPATOTOXIC Ref:- kd tripathi; pg num:-229